In a modern rotatory anode X-ray tube cooling of anode is done by:
1. Conduction
2. Convection
3. Radiation
4. All of the above

Correct answer: 3. Radiation

Explanation: Ans. Radiation